What is the volume of reservoir bag used in neonatal resuscitation
1. 240 ml
2. 500 ml
3. 750 ml
4. 1000 ml

Correct answer: 1. 240 ml

Explanation: The volume of reservoir bag used in neonatal resuscitation is 250 mlThe volume of reservoir bag used in resuscitation of infants is 500 ml** almost all of the manufacturers are using bag sizes between 240 mL and 320 mL for infants and 500 mL for children